Which of the following is a device of radiation dose measurement?
1. Storage phosphor plate
2. Ionization chamber
3. Coolidge tube
4. Charged couple devices

Correct answer: 2. Ionization chamber

Explanation: The ionization chamber is the simplest of all gas-filled radiation detectors, and is widely used for the detection and measurement of certain types of ionizing radiation; X-rays, gamma rays, and beta particles.